Quod Hanc means-
1. Medically impotent
2. Legally impotent
3. Impotent towards all women
4. Impotent towards a particular women

Correct answer: 4. Impotent towards a particular women

Explanation: Ans. is 'd' i.e., Imponent towards a particular woman Quod Hanc (or Quod Hoc) is a type of impotence in which a person shows psychic impotence with one woman but can perform the sexual act successfully with another woman.